Addisonian disease is associated with:
1. Low blood pressure and oral pigmentation
2. Oral sores
3. Thyrotoxicosis
4. Keratosis

Correct answer: 1. Low blood pressure and oral pigmentation